Which area of thalamus is involved in Wernicke's encephalopathy?
1. Mammilary Bodies
2. Dorsomedial Nucleus
3. Ventroposterolateral nucleus
4. Anterior Nucleus

Correct answer: 2. Dorsomedial Nucleus

Explanation: Dorsomedial nuclei of the thalamus and mamillary body of the hypothalamus is involved in Wernicke's encephalopathy. The mammillary bodies, hypothalamus, medialthalamic nuclei (adjacent to the third ventricle), tectal plateand periaqueductal gray matter are most commonly affected. Caused by a deficiency of vitamin B1 (thiamine). The classic clinical triad of ocular dysfunctions (nystagmus, conjugate gaze palsy, ophthalmoplegia), ataxia and confusion is observed only in 30% of cases. MRI AXIAL FLAIR images showing involvement of different areas of brain in a case of wernickes encephalopathy.